Azzopardi effect is seen in:
1. Squamous cell CA
2. Adenocarcinoma
3. Small cell lung CA
4. Large cell CA

Correct answer: 3. Small cell lung CA

Explanation: Ans. (c) Small cell lung CARef: Robbiris 9th ed./ 717* Azzopardi effect is basophilic staining of vascular walls due to encrustation by DNA from necrotic tumor cells.* It is seen in small cell lung carcinoma